After an injury to an axon, the subsequent degeneration of all axonal fibres distal to the injury, all fibres proximal to the injury are unaffected, this type of degeneration is known as:
1. Retrograde degeneration.
2. Wallerian degeneration.
3. Transneuronal degeneration.
4. None

Correct answer: 2. Wallerian degeneration.